Enzymes not used in glycogen metabolism
1. Glycogen phosphorylase B
2. Glycogen synthase I
3. Glycogen synthase C
4. Glycogen synthase D

Correct answer: 3. Glycogen synthase C

Explanation: The liver phosphorylase-b is the inactive form. It becomes active on phosphorylation. The active form is phosphorylase-a.Glycogen synthase exists in two distinct forms that can be interconverted by the action of specific enzymes; active dephosphorylated glycogen synthase(glucose-6-p-independent) and less active, phosphorylated glycogen synthase D(glucose-6-p-dependent.Ref: DM Vasudevan, page no: 127